True about the relation of epiploic foramen is -
1. Portal vein posteriorly
2. IVC inferiorly
3. Hepatic artery superiorly
4. Bile duct anteriorly

Correct answer: 4. Bile duct anteriorly

Explanation: Boundaries of the lesser sac are:-


Anterior:- Right free margin of lesser omentum (contains portal vein, hepatic artery proper and bile duct).
Posterior:- IVC, right suprarenal gland and T12 vertebra.
Superior:- a Caudate lobe of the liver.
Inferior:- 1st part of duodenum and horizontal part of the hepatic artery.